Features of Mitral stenosis on X-ray are all EXCEPT:
1. Double contour of right border
2. Lifting of left mainbronchus
3. Splaying of carinal angle
4. Lower lobe prominence of veins

Correct answer: 4. Lower lobe prominence of veins

Explanation: Lower lobe prominence of veins REF: Sutton's radiology 7th edition page 294 Features of mitral stenosis on X ray: Straightening of heart border (earliest sign ) Lifting of left bronchus Posterior displacement of esophagus Double atrial shadow Alveolar edema Kerly B lines Pulmonary hemosiderosis Cephalisation of upper lobe vessels Moustache sign: Enlargement of main pulmonary artery and periferal pruning